Following monoclonal antibody is directed against alpha 4 integrin (REPEAT)
1. Efalizumab
2. Natalizumab
3. Ibalizumab
4. Toclizumab

Correct answer: 2. Natalizumab

Explanation: Natalizumab is anti-integrin monoclonal antibody used in ulcerative colitis, Crohn's disease and multiple sclerosis.Ref: Katzung 13th ed.pg 962.